One of the following is not true about vase pre:
1. Blood of maternal origin
2. May be a cause of antepartum hemorrhage
3. Blood of fetal origin
4. Singer's test positive

Correct answer: 1. Blood of maternal origin

Explanation: Blood of maternal origin